Small intestinal biopsy is specific for-a)  Tropical sprueb)  Celiac spruec)  Whipple's diseased)  Amyloidosis
1. cd
2. bc
3. bd
4. ac

Correct answer: 1. cd